Reduviid bug is a vector for the transmission of -
1. Relapsing fever
2. Lyme's disease
3. Scrub typhus
4. Chaga's disease

Correct answer: 4. Chaga's disease

Explanation: bite by reduviid bug T.cruzi causes South American trypanosomiasis or chaga's disease Chagoma Romana's sign (refer pgno:50 baveja 3 rd edition)